The Low Grade Non-Hodgkins Lymphoma is:
1. Follicular
2. Large cell
3. Diffuse large cell
4. Lymphoblastic

Correct answer: 1. Follicular

Explanation: Follicular